A concept directed against prevention of risk factors of coronary artery disease is -
1. Primordial prevention
2. Secondary prevention
3. Health education
4. Primary prevention

Correct answer: 1. Primordial prevention

Explanation: Ans. is 'a' i.e., Primordial prevention o Primordial prevention is a type of primary prevention. o In both primordial prevention and primary prevention, action is taken prior to the onset of disease. o The difference between the two is ? a Primordial prevention -4 action is taken prior to emergence of risk factor. In other words Primordial prevention is defined as prevention of risk factor themselves. Primary prevention --> action is taken after emergence of risk factor, but before the onset of disease. o Example :- If a person is having habit of smoking and he has not developed any smoking related disease, e.g. CHD. Then withdrawing the habit of smoking is primary prevention. Discouragment of adopting smoking (in a person who never smokes) is primordial prevention.